True about Aortic transection:
1. Most commonly due to deceleration injury
2. High mortality
3. Surgery definitive treatment
4. All

Correct answer: 4. All

Explanation: Ans. is all Blunt Aortic injury * Main pathophysiological cause is sudden deceleration with creation of a shear force between the fixed and relatively mobile segment of aorta. The classic examples are frontal collision in motor vehicle injury or a fall from height. Most common site is --> proximal descending thoracic aorta Investigation - Spiral CT scan is used for screening, and if mediastinal hematoma found, an aortography or CT angiography is done to clearly define the site and extent of injury. Aortography is the gold standard imaging modality. - CT angiography is rapidly becoming an imaging modality that rivals aortography and as technology improves may soon replace aortography as the imaging modality of choice. Management The traditional management is prompt surgical repair of the injured aortic segmenet. However in some patients a purposeful delay or even non-operative management is done. Patients with associated severe head injury or other complex multisystem injury are unable to tolerate the aortic repair and reconstructive surgery. Use of early blood pressure control and afterload reduction converts these cases from urgent to delayed cases, and can be repaired next day or several days later and can be transferred to higher centres with experts. Non-operative management can be tried in minimal blunt aortic injury (such as small intimal flap or a small pseudoaneurysm). However long term behaviour of these minimal injuries managed non-operatively is not known and hence they must be monitored by serial imaging. Use of endovascular graft is fast gaining in popularity despite lack of controlled trials and long term follow-up. This is due to significantly decreased mortality and morbidity associated with use of grafts in comparison to open thoracic aortic repair. Endovascular grafts are particularly attractive for patients who are poor candidates for open thoracic aortic repairs such as those with multiple associated injuries or in whom systemic heparin is contraindicated.